Molis micrograbhic excision is used for the management of
1. Testicular cancer
2. Penile cancer
3. Prostate cancer
4. None of the above

Correct answer: 2. Penile cancer